Which ion has the lowest electrochemical driving force in a typical neuron with a resting membrane potential of -65 millivolts?
1. Chloride
2. Potassium
3. Sodium
4. Calcium

Correct answer: 1. Chloride

Explanation: The equilibrium potential for chloride averages about -70 millivolts in a typical neuron, so with a resting membrane potential of 65 millivolts, the electrochemical driving force for chloride is 5 millivolts. In case of neuron, equilibrium potential for: Potassium: -90 mV Sodium: +60 mV Calcium: +129 mV